A young patient presents to the ophthalmic outpatient department with gradual blurring of vision in the left eye. Slit lamp examination reveals fine stellate keratatic precipitates and aqueous flare and a typical complicated posterior subcapsular cataract. No posterior synechiae were observed. The most likely diagnosis is:
1. Intermediate Uveitis (Pars plants)
2. Heerford's disease
3. Heterochromic iridocyclitis of Fuch's
4. Subacute Iridocyclitis

Correct answer: 3. Heterochromic iridocyclitis of Fuch's

Explanation: Ans. Heterochromic iridocyclitis of Fuch's